Tetanus affects primarlly -
1. Presynaptic terminal of spinal cord
2. Post synaptic terminal of spinal cord
3. Neuromuscular junction
4. Muscle fibres

Correct answer: 1. Presynaptic terminal of spinal cord